In type 2 DM, increased fasting plasma glucose is predominantly due to
1. Increased hepatic glucose output
2. Decreased peripheral utilization of glucose
3. Decreased insulin secretion
4. Decreased transport of glucose to tissue

Correct answer: 1. Increased hepatic glucose output

Explanation: Insulin resistance impairs glucose utilization by insulin-sensitive tissues and increases hepatic glucose output; both effects contribute to the hyperglycemia. Increased hepatic glucose output predominantly accounts for increased FPG levels, whereas decreased peripheral glucose usage results in postprandial hyperglycemia. Glucose metabolism in insulin-independent tissues is not altered in type 2 DM.Ref: Harrison 19e pg: 2405